Ail of the following are Phase II reactions except
1. Acetylation
2. Methylation
3. Cyclization
4. Glycine conjugation

Correct answer: 3. Cyclization

Explanation: Ans. is 'c' i.e., Cyclization * Biotransformation reactions (metabolism) of drugs can be classified:A. Non-synthetic (phase I) reactions# Metabolism brings about a change in the drug molecule by :1. Oxidation3. Hydrolysis5. Decyclization2. Reduction4. Cyclization B. Synthetic (phase II or conjugation) reaction# Metabolism involves union of the drug with one of several polar (water-soluble) endogenous molecules that are products of intermediary metabolism, to form a water-soluble conjugate which is readily eliminated by kidney or, if the molecular weight exceeds 300, in the bile.# Reactions are:-1. Acetylation4. Glutathione conjugation7. Neucleotide synthesis2. Glucuronide conjugation5. Sulfate conjugation 3. Glycine conjugation6. Methylation